In a population of 5000, number of new cases of TB is 500; old cases in the same population are 150. What is the prevalence of TB?
1. 9%
2. 12%
3. 13%
4. 18%

Correct answer: 3. 13%

Explanation: Prevalence = total number of cases / total population x 100 = (650/5000) x100 =13%